Following a small-bowel resection, a 49 years old male develops fever and anemia. The surface surrounding the surgical wound is warm to the touch and necrotizing fasciitis is suspected. Another manifestation that would most suggest necrotizing fasciitis is:
1. Erythema
2. Leukocytosis
3. Severe pressure-like pain
4. Swelling

Correct answer: 3. Severe pressure-like pain

Explanation: Severe pressure like pain out of proportion to visible signs distinguishes necrotizing fasciitis from cellulitis. Erythema, leukocytosis, and swelling are present in both cellulitis and necrotizing fasciitis.